Who discovered stainless steel?
1. Adams C.P.
2. Schwarz A.M.
3. Brearley
4. Backofen W.A and Gales G.F

Correct answer: 3. Brearley